Testing with cold is carried out best:
1. To localize papal pain
2. To localize periodontal pain
3. For detecting referred pain
4. To test pulp necrosis

Correct answer: 1. To localize papal pain